Most common cause of kyphotic deformity ?
1. Trauma
2. Osteoporosis
3. Ankylosing spondylitis
4. Rickets

Correct answer: 2. Osteoporosis

Explanation: Ans. is 'b' i.e., Osteoporosis Kvphosis Kyphotic deformities are characterized by on increased dorsal curvature in the sagittal plane of spinal alignment. Postural kyphosis (Postural round back) and scheuermann's disease are the most common causes of kyphosis, particularly in adolescents. Most common cause in older persons is osteoporosis. Other common causes are tuberculosis of the vertebral bodies, ankylosing spondylitis, rickets, cancers and spina bifida. There are three types of kyphotic deformities : Knuckle Prominence of one spinous process Gibbus -3 Prominence of two or three spinous processes Kyphus ---> Diffuse rounding of the vertebral column